Argon laser trabeculoplasty is done in:
1. Angle closure glaucoma
2. Angle recession glaucoma
3. Secondary glaucoma
4. Open angle glaucoma

Correct answer: 4. Open angle glaucoma

Explanation: In Argon Laser Trabeculoplasty (ALT) Laser beam is focused on trabecular meshwork Opens up the pores of trabecular meshwork. So that more Aqueous can flow through it in faster time Lowers Intra ocular pressure Typically done in open angle glaucoma Trabecular meshwork After ALT